Dehydration is the common concern in elderly edentulous patients because of
1. Reduced ability to sense thirst
2. Poor absorption of fluids
3. Vitamin deficiency
4. Osteopenia

Correct answer: 1. Reduced ability to sense thirst